Bisiferien pulse is seen in -
1. AS+AR
2. Hypertrophic cardiomyopathy
3. Severe AR
4. All of above

Correct answer: 4. All of above

Explanation: Bisferiens pulse: This is a pulse with double peak, both being felt in systole. Mechanism: This is due to a combination of the slow rising pulse and collapsing pulse. Ref: Harrison 20,th edition pg 1445